Goal of Visor osteotomy is
1. Increase the height of mandibular ridge for denture support
2. Reduce the bony undercut on both sides if present bilaterally
3. Reduce the bony spicules present on ridge hindering the denture placement
4. All of the above

Correct answer: 1. Increase the height of mandibular ridge for denture support